World Anti Tobacco Day is observed on
1. 31st May
2. 5th June
3. 12th July
4. 24th November

Correct answer: 1. 31st May

Explanation: Ref: 25th Ed K.Park's Textbook Of Preventive and Social Medicine